Erotomania is seen in -
1. Schizophrenia
2. Unipolar mania
3. Neurosis
4. OCD

Correct answer: 1. Schizophrenia

Explanation: Ans. is 'a' i.e., Schizophreniao Erotomania is a type of delusion in which the affected person believed that another person, usually of higher status, is in love with him or her.o It is seen during psychosis, especially in patients with schizophrenia, delusional disorders and bipolar mania.